What is normal average IQ -
1. 100
2. 90
3. 80
4. 70

Correct answer: 1. 100

Explanation: Ans. is 'a' i.e., 100 o An average normal IQ is considered to be 100. However, the range actually extends from 90-109.